Which of the following treatments for menorrhagia is NOT supported by evidence?
1. Tranexamic acid
2. Ethamsylate
3. Combined OCP
4. Norethindrone

Correct answer: 2. Ethamsylate

Explanation: Etamsylate does not have a clinical role in the treatment of menorrhagia. Its effectiveness varies in randomized trials, and ranges from no reduction in flow to a 50-percent decrease. Medical Treatment of Menorrhagia: Acute Treatment Premarin Combination oral contraceptive pills (COCs) Chronic Treatment Mefenamic acid Naproxen Ibuprofen Flurbiprofen Meclofenamate COCs Tranexamic acid Norethindrone Danazol GnRH agonists LNG-IUS Ref: Hoffman B.L., Schorge J.O., Schaffer J.I., Halvorson L.M., Bradshaw K.D., Cunningham F.G., Calver L.E. (2012). Chapter 8. Abnormal Uterine Bleeding. In B.L. Hoffman, J.O. Schorge, J.I. Schaffer, L.M. Halvorson, K.D. Bradshaw, F.G. Cunningham, L.E. Calver (Eds), Williams Gynecology, 2e.